Posterior lenticonus is seen in
1. Alport syndrome
2. Lowe syndrome
3. Marfan syndrome
4. Homocystinuria

Correct answer: 2. Lowe syndrome

Explanation: Lenticonus: It refers to the cone-shaped elevation of the anterior pole (lenticonus anterior) or posterior pole (lenticonus posterior) of the lens. Lenticonus anterior may occur in Alport syndrome and lenticonus posterior in Lowe syndrome. On distant direct ophthalmoscopy, both present as an oil globule lying in the center of the red reflex. Slit-lamp examination confirms the diagnosis. Lowe syndrome is a condition that primarily affects the eyes, brain, and kidneys. This disorder occurs almost exclusively in males. Infants with Lowe syndrome are born with thick clouding of the lenses in both eyes (congenital cataracts), often with other eye abnormalities that can impair vision. Ref: Khurana; 4th edition; Pg. 204